Overbites must be reduced during the first stage of class II / I treatment to:
1. Prevent traumatic overbite
2. Disengage buccal cusps
3. Allow lower space to close
4. Permit full overjet reduction

Correct answer: 4. Permit full overjet reduction